Drug which increases absorption of oral iron ?
1. Folic acid
2. Nalidixic acid
3. Vitamin C
4. Tetracycline

Correct answer: 3. Vitamin C

Explanation: Ans. is 'c' i.e., Vitamin C o Factors facilitating iron absorption - Acid, ascorbic acid (Vit C), amino acids containing SH radical, meat.